Energy required by a heavy worker female (in kcal/ day):
1. 1900
2. 2230
3. 2850
4. 3730

Correct answer: 3. 2850

Explanation: Ans. C i.e. 2850 Energy requirement of woman Sedentary work: 1900 Kcal/day (35 Kcal kg/day) Moderate work: 2230 Kcal/ day (41 Kcal/kg/day) Heavy work: 2850 Kcal/day (52 Kcal/kg/day) Pregnant woman: + 350 Kcal/day Lactation: +600 Kcal/day